The least likely good prognostic factor in a patient with Schizophrenia is?
1. Premorbid personality issues
2. Acute onset
3. Female gender
4. History of mood disorder in the family

Correct answer: 1. Premorbid personality issues

Explanation: Premorbid personality issues is a bad prognostic factor for schizophrenia. Schizophrenia Good Prognosis Bad Prognosis Acute onset (<2 weeks) Insidious onset Advanced age at onset (>35 year) Early onset <20 year) Catatonic subtype (Paranoid subtype has an intermediate prognosis) Simple, disorganized, hebephrenic Female Sex Male Sex Prominent Positive Symptom Prominent Negative symptom Presence of affective symptom Absence of affective symptoms Family H/O mood disorder Family h/o Schizophrenia Good premorbid functioning and personality traits Poor premorbid functioning and personality traits